Anaesthetic gas with maximum respiratory irritation
1. Desflurane
2. Sevoflurane
3. Enflurane
4. Halothane

Correct answer: 1. Desflurane

Explanation: * Desflurane, unlike halothane or sevoflurane has a pungent smell which makes it unpleasant for inhalational induction. * When more than 6% desflurane is used, the pungency produces salivation, airway irritation, breath holding and coughing. Ref:- Stoelting's Pharmacology and Physiology in Anesthetic Practice 5th edition; pg num:- 101